Which of the following is not seen in iron deficiency anemia?
1. Hyper-segmented neutrophils
2. Microcytosis and hypochromia in red cells
3. Low serum ferritin
4. Commonest cause of anemia in India

Correct answer: 1. Hyper-segmented neutrophils

Explanation: - Hypersegmented neutrophils - is a feature of megaloblastic anemia - caused d/t Vit B12 / folic acid deficiency. - Remaining all features given in options are characteristic to Iron deficiency anemia